True statement regarding rocuronium is
1. Benzylisoquinoline structure
2. It’s metabolite is laudanosine
3. Fastest onset and intermediate duration of action
4. Fastest onset and short duration of action

Correct answer: 3. Fastest onset and intermediate duration of action

Explanation: Rocuronium is aminosteroid compound
Fast onset and intermediate duration of action.